During bilateral adrenalectomy, intra-operative dose of hydrocortisone should be given after
1. Opening the abdomen
2. Ligation of left adrenal vein
3. Ligation of right adrenal vein
4. Excision of both adrenal glands

Correct answer: 4. Excision of both adrenal glands

Explanation: Steroids are not given pre-operatively because these patients are already hypercortisolemic. Instead hydrocortisone 100 mg IV is given after the removal of second hyperplastic adrenal gland